Which of the following is a test to distinguish between monosaccharides and disaccharides?
1. Barfoed's test
2. Bial's Test
3. Seliwanoff's test
4. Hydrolysis test

Correct answer: 1. Barfoed's test

Explanation: Option a : a test to distinguish between monosaccharides and disaccharides is Barfoed's test Barfoed's test- The reduction of Cu++ in acidic Barfoed's reaction is slower. Monosaccharides reduces Cu++ (cupric) to Cu+ (cuprous) within 3 minutes Disaccharides take a longer time (up to 10 minutes). Bial's test: For Pentoses (bluish color). Hexoses generally react to give green, red or brown products. Seliwanoff's test Distinguish between Aldehyde and Keto sugar. Given positive by Keto sugars. Methods for glucose estimation Reductometric Methods Enzymatic Method Nelson's Somogyi method Folin-Wu method Oho-Toluidine method Hexokinase method (Gold standard) GOD-POD test